True regarding Crohn's disease is all Except
1. Scleroderma
2. Transmural involvement
3. Cobble stone appearence
4. Skin involvement

Correct answer: 1. Scleroderma

Explanation: Features of Chron's disease mnemonic: FIND CASH Fissures Ileum Non-caseating granuloma Distortion of mucosal architecture Creeping fat, Crypt abscess, Cobblestone appearance. Aphthous ulcer Skip lesions Hose pipe like bowel